Which of the following compound antagonizes the actions of insulin
1. Neuropeptide Y
2. Growth hormone
3. Substance P
4. Vasoactive intestinal peptide

Correct answer: 2. Growth hormone

Explanation: Ans. (b) Growth hormone(Ref: Ganong, 25th ed/p.434)Growth hormone is a diabetogenic hormone. It causes hyperglycemia. It antagonizes the action of insulin